Relative risk is represented by ?
1. Incidence among exposed/incidence among non-exposed
2. Incidence among non-exposed/incidence among exposed
3. Incidence in exposed minus incidence in non-exposed
4. None of the above

Correct answer: 1. Incidence among exposed/incidence among non-exposed

Explanation: Ans. is 'a' i.e., Incidence among exposed/incidence among nonexposed